T cell independent Antigen acts through  which one of the following?
1. T-cell
2. B-cell
3. Macrophages
4. CD8+ T cells

Correct answer: 2. B-cell